Following is used to document tear of hymen in a victim of rape:
1. Vaginal speculum
2. Glaister-keen rod
3. Cylinder rod
4. Hegar's rod

Correct answer: 2. Glaister-keen rod

Explanation: Ans. Glaister-keen rod